The drug of choice for managing uncomplicated vivax malaria:
1. Artemether
2. Artesunate
3. Chloroquine
4. Clindamycin

Correct answer: 3. Chloroquine

Explanation: Ans. C. ChloroquineThe drug of choice for managing vivax malaria is still chloroquine. Resistance to chloroquine has rarely been reported in India. The total dose is 25mg/kg first dose given as 10mg/kg and then 5mg/kg at 0, 6, 24, 48 hours respectively.